C3b is converted to C3 convertase by-
1. Factor B
2. Factor P
3. Factor H
4. Factor I

Correct answer: 1. Factor B

Explanation: Ans. is 'a' i.e., Factor B